A 60-year-old female is suffering from renal failure and is on hemodialysis since last 8 years. She developed carpal tunnel syndrome. Which of the following finding will be associated
1. AL
2. AA
3. ATTR
4. B2 microglobulin

Correct answer: 4. B2 microglobulin

Explanation: Patients on long-term hemodialysis for renal failure can develop amyloidosis as a result of deposition of b2-microglobulin. This protein is present in high concentrations in the serum of persons with renal disease and in the past, it was retained in the circulation because it could not be filtered through dialysis membranes. Patients sometimes presented with carpal tunnel syndrome because of b2-microglobulin deposition.With new dialysis filters, the incidence of this complication has decreased substantially.Ref: Robbins and Cotran Pathologic Basis of Disease; 9th edition; Page no: 260